E. coli can be classified by their characteristic virulence properties and different mechanisms that cause disease. To which group does the verotoxin producing E. coli 0157:H7 serotype belong?
1. Enteroaggregative E. coli (EAEC)
2. Enterohemorrhagic E. coli (EHEC)
3. Enteroinvasive E. coli (EIEC)
4. Enteropathogenic E. coli (EPEC)

Correct answer: 2. Enterohemorrhagic E. coli (EHEC)

Explanation: E. coli 0157:H7 serotype belongs to EHEC. EHEC Highly virulent serotype. Has low infectious dose (10-100 bacilli). Produce a verotoxin similar to Shiga toxin. Causes hemorrhagic colitis, HUS. Principal cause of acute kidney failure in children.